Obstruction in pulmonary stenosis may occur at the following sites -
1. Supravalvular
2. Valvular
3. Subvalvular
4. All of the above

Correct answer: 4. All of the above

Explanation: Ans. is 'd' i.e., All of the above o Anatomically, Pulmonary stenosis may be located at : 1. Valvular level 2. Subvalvular level : also called infundibular pulmonic stenosis. 3. Supra valvular level : this is uncommon and refers to stenosis above the valve.